Bacteriostatic anti TB drug ?
1. INH
2. Rifampicin
3. Ethambutol
4. Pyrazinamide

Correct answer: 3. Ethambutol

Explanation: Ans. is 'c' i.e., Ethambutol Remember the following facts All cell wall synthesis inhibitors are bactericidal. All antibacterial drugs that act on cell membrane are bactericidal. All first line antitubercular drugs are bactericidal except ethambutol that is bacteriostatic. All protein synthesis inhibitors are bacteriostatic except aminoglycosides & streptogramins which are bactericidal. All drugs affect intermediary metabolism are bacteriostatic. Now, it will be very easy to remember the following table